Which of the following parts of the mind develops at approximately the time a child starts first grade?
1. Ego
2. Unconscious
3. Superego
4. Conscious

Correct answer: 3. Superego

Explanation: The superego develops at approximately the time a child starts first grade (6 years of age). The superego controls id (the sexual and aggressive aspects of the mind) impulses and represents moral values and conscience. The ego (the personality) and the id develop at earlier ages. The unconscious and the conscious minds also develop at earlier ages.